Which of the following is the commonest organism responsible for angular conjunctivitis?
1. Moraxella lacunata
2. Staphylococcus pyogenes
3. Herpes simplex
4. Haemophilus influenzae

Correct answer: 1. Moraxella lacunata

Explanation: Angular conjunctivitis is characterised by a mild inflammation confined to the conjunctiva and lid margins near the angle. The commonest causative organism is Moraxella lacunata. Ref: A K Khurana, 2nd Edition, Page 88.